Methotrexate toxicity is treated by?
1. Folinic acid
2. Folic acid
3. Vitamin B 12
4. Folinic acid+Vitamin B 12

Correct answer: 1. Folinic acid

Explanation: Ans. is 'a' i.e., Folinic acid Folinic acid rescue o Where it is desired to maximise the effect of methotrexate a potentially fatal dose is given and is followed 24 h later by a dose of folinic acid to terminate its action. o High concentrations of methotrexate are obtained and bone marrow cells recover better than the tumor cells and some degree of useful selectivity is achieved